Most common staphylococcal phage strain causing hospital infection ?
1. 80/81
2. 79/80
3. 3A/3C
4. 69/70

Correct answer: 1. 80/81

Explanation: Ans. is 'a' i.e., 80/81 Hospital strains of staphylococcus aureus Certain strains of staphylococcus are the common cause of post operative wound infections and other infections in the hospital environment. These strains are known as hospital strains. The hospital strains show the following characteristics: They are resistant to penicillin, methicillin and other routinely used antibiotics. They belong to certain bacteriophage types. Some of the strains ( eg phage type 80/81) are known to cause hospital infections throughout the world. Such strains are called as epidemic strains.